Porosity in porcelain can be prevented by:
1. Thoroughness of condensation
2. Rapidity of firing
3. High firing temperature
4. All of the above

Correct answer: 1. Thoroughness of condensation